Which of the following is a late complication of radiotherapy -
1. Nausea
2. Erythema
3. Thrombocytopenia
4. Radiation pneumonitis

Correct answer: 4. Radiation pneumonitis

Explanation: Ans. is'd'i.e., Radiation pneumonitis[Ref Cancer in Children: Clinical Management p. 132Radiation pneumonitis is a late complication.Late effects : - Appearance within a few to many years : -Pericardial involvement is the most common and includes asymptomatic pericardial effusion & constrictive pericarditis.Radiation pneumonitisPost radiation transverse myelitis develop after 12-24 months.Leukemia is the most common radiation induced cancer.Other cancers are thyroid and breast carcinoma.Papillary carcinoma of the thyroid may develop due to radiation exposure in infancy.Gliomas, Meningiomas, Sarcomas, Lung cancer